Confirmation of myelofibrosis is by ?
1. Bone marrow aspiration
2. Peripheral smear
3. Leuocytes alkaline
4. Bone marrow biopsy

Correct answer: 4. Bone marrow biopsy

Explanation: Ans. is `d' i.e., Bone marrow biopsy Bone marrow biopsy is essential for diagnosis